Which of the following aminoacids have maximum buffering capacity at PH 7?
1. Lysine
2. Arginine
3. Histidine
4. Glycine

Correct answer: 3. Histidine

Explanation: pKa of histidine is 6.5 - 7.4. It allows for maximum buffering capacity at neutral pH.